Three dimensional classification of occlusion was given by:
1. Angle
2. Simon
3. Dewey
4. Baume

Correct answer: 2. Simon

Explanation: In Simon’s classification, the dental arches are related to three anthropologic planes. Since malocclusion is a three-dimensional problem, Simon devised this method of classification orienting the dental arch to three different planes. It is a craniometric form of classification.